Important post operative managment of case of VVF is :
1. Continuous bladder drainage
2. Antibiotics
3. Complete bed rest
4. Early ambulation

Correct answer: 1. Continuous bladder drainage

Explanation: Continuous bladder drainage